Ketogenesis takes place in:
1. Hepatic mitochondria
2. Hepatic cytoplasm
3. Hepatic microsome
4. Hepatic lysosome

Correct answer: 1. Hepatic mitochondria

Explanation: Fatty acid oxidation takes place in mitochondria. Ketogenesis also takes place in mitochondria. HMG-CoA synthase is present in both cytosol and mitochondria. Cytosolic HMG-CoA synthase is involved in cholesterol synthesis. Mitochondrial HMG-CoA synthase is involved in ketogenesis.